Pulmonary function changes seen in Emphysema are
1. ↑TLC
2. ↓RV
3. ↑FEV1
4. ↑VC

Correct answer: 1. ↑TLC

Explanation: Changes in lung function tests in obstructive lung diseases- Eg: Emphysema
TLC- Increase
RV- Increase
FRC- Increase
Peak expiratory flow rate- Decrease
FEV1- Decreased out of proportion to FVC (Forced vital capacity)
Forced expiratory vital capacity (FEVC)- Normal to slightly decreased
FEV1/FEVC- Decreased (May decrease as low as 20-30%)
Changes in lung function tests in restrictive lung diseases
TLC- Decreased
RV- Decreased
FRC- Decreased
Forced mid-expiratory flow rate- Decrease
FEV1- Decreased in proportion to FVC (Forced vital capacity)
Forced vital capacity (FVC)- Decreased 
FEV1/FEVC- Near-normal or increased.
Lung compliance- decreased
Diffusion capacity- decreased